Due to recent advances in Health care system, quarantine has been replaced nowadays by:
1. Active surveillance
2. Passive surveillance
3. Sentinel surveillance
4. Isolation

Correct answer: 1. Active surveillance

Explanation: Quarantine has been replaced with active surveillance. Quarantine is the restriction of activities of apparently healthy persons who have been exposed to a case of communicable disease during its period of communicability, for the duration of it's maximum incubation period. Active surveillance is the continuous scrutiny of all aspects of a disease and application of information to heath promotion and to disease prevention and control.